A 2- year old child presented with leucocoria in the right eye since 2 months. On examination a total retinal detachment was present in the same eye. Ultrasound B scan revealed a heterogenous subretinal mass with calcification. The most likely clinical diagnosis is:
1. Coats- disease
2. Retinoblastoma
3. Toxocariasis
4. Retinal tuberculoma

Correct answer: 2. Retinoblastoma

Explanation: B i.e. Retinoblastoma Leukokoria in a child less than 6 years with hetrogenous mass & calcification on USG or CT scan is diagnostic of retinoblastomaQ. It may lead to secondary glaucoma & retinal detachment.